Most common cause of suicide is
1. Schizophrenia
2. Depression
3. Cyclothymia
4. Mania

Correct answer: 2. Depression

Explanation: Depression is the most common cause of suicide Ref: Essentials of postgraduate psychiatry By JN Vyas 1st ed Pg 604-607